To define still birth, period is specified from -
1. 20th week of gestation to 1 week after birth
2. 28th week of gestation to 1 week after birth
3. 20th week of gestation to birth
4. 28th week of gestation to birth

Correct answer: 4. 28th week of gestation to birth

Explanation: Death of a foetus weighing 1000g at birth (this is equivalent to 28weeks of gestation.) REF. PARK'S TEXTBOOK OF PREVENTIVE AND SOCIAL MEDICAL 21ST EDITION. PAGE NO - 519